The half life of Cobalt–60 is –
1. 3.4 years
2. 5.2 years
3. 1.2 years
4. 2.3 years.

Correct answer: 2. 5.2 years

Explanation: Half life of cobalt - 60 is 5.2 years.